Which of the following is secondary mediator of the anaphylaxis is
1. Histamine
2. Protease
3. Eosinophilic chemotactic factor
4. Leukotriene B4

Correct answer: 4. Leukotriene B4

Explanation: ref Robbins 9/e p203 Leukotriene B4 (LTB4) is a leukotriene involved in inflammation. It is produced from leukocytes in response to inflammatory mediators and is able to induce the adhesion and activation of leukocytes on the endothelium, allowing them to bind to and cross it into the tissue.